The action of vitamin K in formation of clotting factor is through:
1. Post transcription
2. Post translation
3. Golgi complex
4. Endoplasmic reticulum

Correct answer: 2. Post translation